All of the following are TRUE about denonvillier's fascia, EXCEPT:
1. At the lower part of rectovesical pouch
2. Membranous partition
3. Separates prostate and urinary bladder
4. Separates prostate, urinary bladder from rectum

Correct answer: 3. Separates prostate and urinary bladder

Explanation: Denonvilliers' fascia represents a membranous separation between the rectum and the prostate and urinary bladder. This septum is formed from the fusion of the lower end of the rectovesical pouch of peritoneum. Denonvilliers' fascia forms an important barrier to the spread of prostatic and rectal malignancy. Ref: Snell's Clinical Anatomy, 7th Edition, Page 378.